True regarding presentation of primary T.B. is -
1. B/L pleural effusion with negative Tuberculin test.
2. U/L hilar lymphadenopathy
3. Sustained chronic pyrexia
4. B/L pelural effusion with positive tuberculin test.

Correct answer: 2. U/L hilar lymphadenopathy